Pain insensitive structure in brain is:
1. Falx cerebri
2. Dural sheath surrounding vascular sinuses
3. Middle meningeal artery
4. Choroid plexus

Correct answer: 4. Choroid plexus

Explanation: Choroid plexus Repeat from Al 2009Choroid plexus is pain insensitive structure.Harrison writes-"Relatively .few cranial structures are pain-producing; these include the scalp, middle meningeal artery, dural sinuses, .falx cereberi, and proximal segments of the large pial arteries. The ventricular ependyma, Choroid plexus, pial veins, and much of the brain parenchyma are not pain-producing."Pain SensitivePain InsensitiveScalpPia-arachnoidPeriostiumPial veinsDural sinusesBrain parenchymaMiddle meningeal arteryVentricular ependymaFalx cereberiChoroid plexusProximal segments of the large pial arteries